Active immunity is not acquired by-
1. Infection
2. Vaccination
3. Immunoglobulin transfer
4. Sub-clinical infection

Correct answer: 3. Immunoglobulin transfer

Explanation: Immunoglobulin transfer is type of passive immunity bcz there is no active participation of immune system in making antibodies. Differences between passive and active immunity Active immunity Passive immunity 1. Produced actively by host's immune system No active host participation; received passively 2. Antibodies induced by infection or by immunogens (vaccination) Induced by readymade antibody transferred 3. Long lasting Short time 4. Lag period present Q, Immunity effective only after lag period Immediate immunity; no lag period 5. Immunological Memory present No immunological memory 6. Booster doses-useful on subsequent dose Subsequent doses-Less affective due to immune elimination 7. Negative phase may occur Q No Negative phase 8. In Immunodeficiency- not useful Applicable even in immunodeficient 9. Active immunity often involves both the cell-mediated and humoral immunity. Passive immunity is due to readymade antibodies. 10. Types: Natural--clinical or inapparent infection; Artificial-- induced by vaccines. Types: Natural--transfer of maternal antibodies through placenta; Artificial--injection of immunoglobulins. 11. Durable; effective protection Transient; less effective